True statement about Jackson's Cross - Cylinder test is
1. Used for subjective refinement of spherical error
2. Most commonly uses -0.5D sphere with +0.5D cylinder
3. Uses spherocylindrical toric lens
4. All of the above

Correct answer: 3. Uses spherocylindrical toric lens

Explanation: It is used for subjective refinement of cylindrical error. Most commonly uses -0.5D sphere with +1.0D cylinder.